Forcheimer spot is seen in:
1. Measles
2. Mumps
3. Rubella
4. Enterovirus

Correct answer: 3. Rubella

Explanation: Forchheimer spots are tiny, rose-colored lesions, seen in the oropharynx, at the time of onset of rash, in Rubella.